Rape, even after consent is considered when age of woman is:
1. < 16yr
2. <17 yr
3. <21 yr
4. <18 yr

Correct answer: 4. <18 yr

Explanation: Ans:D.)< 18 years. Explanation:The Criminal Law (Amendment) Act, 2013:The age of consent in India has been increased to 18 years, which means any sexual activity irrespective of presence of consent with a woman below the age of 18 will constitute statutory rape.